The enzyme responsible for development of Cataract in diabetes is due to
1. Hexokinase
2. NADPH+ dependent aldoreductase
3. Glucokinase
4. Phosphofructoisomerase

Correct answer: 2. NADPH+ dependent aldoreductase

Explanation: NADPH+ dependent aldoreductase is responsible for accumulation of Sorbitol in Lens causing Cataract in Diabetic.